Ankle brachial index is useful in prediction of:
1. Myocardial infarction
2. Buerger's disease
3. Meconium ileus
4. All of the above

Correct answer: 1. Myocardial infarction

Explanation: There is increasing interest in the use of the ankle-brachial index (ABI) to evaluate patients at risk for cardiovascular events. An ABI Ref: Schwartz's principle of surgery 9th edition, chapter 23.